In criminal cases, conduct money is paid by:
1. Court
2. Opposite party
3. Judge
4. No conduct money is given

Correct answer: 4. No conduct money is given

Explanation: Ans. No conduct money is given